The recommended daily energy intake of an adult woman with heavy work is –
1. 1800
2. 2100
3. 2300
4. 2900

Correct answer: 4. 2900

Explanation: Energy allowance per day for females involved in heavy work is 2850 Kcal/day.